EV1/FVC is reduced in case of
1. Pleural effusion
2. Lung fibrosis
3. Asthma
4. All of the above

Correct answer: 3. Asthma

Explanation: Answer is C (Asthma): Reduction in FEVIFVC is the hallmark of obstructive lung diseases. Amongst the options provided, Asthma is the only obstructive disease and thus the answer of choice. The hallmark in obstructive pattern of disease is a decrease in expiratory flow rates. Decrease in Forced Expiratory flow rate (FEF25_75) and FEVIFVC are characteristic.